Traumatic asphyxia is a type of
1. Hanging
2. Ligature Strangulation
3. Suffocation
4. Manual strangulation

Correct answer: 3. Suffocation

Explanation: Positional asphyxia- Death caused by "Jack knife position''